Neurological complications of meningitis include all of the following, except:
1. Seizures.
2. Increased intra-cranial pressure.
3. Cerebral hamartoma.
4. Subdural effusions.

Correct answer: 3. Cerebral hamartoma.

Explanation: Ans. is 'c' i.e. Cerebral hamartoma Cerebral hamartoma is a benign, neoplastic condition and is not associated with meningitis.Complications of MeningitisHydrocephalusCranial nerve involvementSeizuresSubdural effusionsSubdural empyemaCerebral herniation d/t increased ICT.